During destruction in proteosomes, proteins are bound to ubiquitin by ?
1. Covalent bond
2. Hydrogen bond
3. Hydrophobic interactions
4. Van-der Wall's forces

Correct answer: 1. Covalent bond

Explanation: Ans. is 'a' i.e., Covalent bond Defective protein is first covalently attached to ubiquitin.Covalent bond is formed between glycine (a-carboxyl group) of ubiquitin and lysine (amino group) of target protein.Ubiquitinated protein is then degraded in proteosomes by ATP dependent (energy dependent) mechanism. Proteins are degraded by proteolytic enzymes which is energy independent (non-energy dependent).